Epiglottis derived from which pharyngeal arch?
1. 2
2. 3
3. 4
4. 6

Correct answer: 3. 4

Explanation: Larynx 4th and the 6th arch fuse to form larynx. 4th arch derivatives are (Mnemonic - CuTE) Cuneiform Thyroid Epiglottis 6th arch derivatives are (Mnemonic - CoCAine) Corniculate Cricoid Arytenoid